Which of the following is NOT TRUE about papillary carcinoma of thyroid?
1. Can be reliably diagnosed using FNAC
2. Always unifocal
3. Typically spreads to the cervical lymph nodes
4. Requires a total thyroidectomy for large tumors

Correct answer: 2. Always unifocal

Explanation: "Multifocality is the common feature of papillary carcinoma of thyroid and may be seen up to 85% of cases". Papillary carcinoma thyroid can be reliably diagnosed by FNAC and metastasis to cervical lymph node is so common that sometimes cervical lymph enlargement can only be the presentation, without any noticeable mass in the thyroid. Ref: Schwartz 9/e, Page 1362